Acellular cementum is typically found in:
1. Coronal half of root
2. Apical half of root
3. Apex of root
4. Entire root

Correct answer: 1. Coronal half of root